Most common gallbladder malignancy
1. Adenocarcinoma
2. Squamous cell carcinoma
3. Mucinous cystadenoma
4. Serous cystadenoma

Correct answer: 1. Adenocarcinoma

Explanation: Histological types of gallbladder carcinoma Diffuse infiltrative type : MC type Nodular or mass forming Papillary: Exhibits polypoid or cauliflower appearance and have best prognosis Adenocarcinoma : MC histological subtype of CA GB In CA GB Direct hepatic invasion : 59% Lymph node metastasis : 45% Perineural invasion : 42% Ref: Sabiston 20th edition Pgno :1512-1514